Best fluid for resuscitation of burns patient
1. Hartmann solution
2. Colloid
3. Normal saline
4. 5% Dextrose

Correct answer: 1. Hartmann solution

Explanation: Answer- A. Hartmann solutionFluid resuscitation begins with an isotonic crystalloid solution - Ringer's lactate solution (RL)(Hartman's solution) k theprefered solution (Normal saline shouldbe avoided as the volumes required for resuscitation may lead to hyperchloremic metabolic acidosis).